A child aged 3 yrs, presented with severe sensorineural deafness was prescribed hearing aids, but showed no improvement. What is the next line of management:
1. Fenestration surgery
2. Stapes mobilisation
3. Choclear implant
4. Conservative

Correct answer: 3. Choclear implant

Explanation: Ans. is 'c' Cochlear implant Any person who fails to benefit from hearing aids in given , cochlear implant. Here the child does not benefit from hearing aid so he should be given cochlear implant.Note : Make sure that the patient is not prelingually deaf because Cochlear implants are not useful in prelingually deaf patient.